In retinoscopy for refractive error at 1m, we add 1D ; if done at a distance of 66 cm, the additional factor will be –
1. –2
2. –1.5
3. –0.5
4. –5

Correct answer: 2. –1.5

Explanation: Deduction of 1D for lm and 1.5D when retinoscopy is performed at 2/3rd m (67 cm) distance.